True about vocal nodule is/are -a) Also known as screamer's nodeb) Occur at junction of ant. 1/3rd & post. 2/3rd of vocal cordsc) Most common presentation is aphoniad) Microlaryngoscopic surgery is not useful
1. ab
2. a
3. ad
4. bc

Correct answer: 1. ab